A 21-year old male presents with exertional dyspnea, raised JVP and loud P2. ECG shows right axis deviation. All of the following conditions are possible except'
1. Atrial septal defect
2. Mitral stenosis
3. Ostium primum
4. Pulmonary thromboembolism

Correct answer: 3. Ostium primum

Explanation: An ostium primum atrial septal defect (ASD) occurs when then atrial septum near the atrioventricular valves has a communication between the two atrium causing a left to right shunt. This rarely develops into Eisenmenger's syndrome if pulmonary hypertension develops reversing the direction of the shunt to right to left. Ref Davidson 23rd edition pg 453